RNA fragments are sequenced by -
1. Eastern-blot
2. Western blot
3. Northern blot
4. Southern-blot

Correct answer: 3. Northern blot

Explanation: Blotting techniques combine a fractionation and a detection method to provide a sensitive technique for analysis of DNA, RNA and Protein.


Southern blot  :  For 'DNA'
Northern blot   :  For 'RNA'
Western blot    :  For 'Protein' (Immunoblotting)